Best test for diagnosis of organic mental disorder:
1. Sentence completion test
2. Bender-Gestalt test
3. Rorschach test
4. Thematic appreciation test

Correct answer: 2. Bender-Gestalt test

Explanation: Bender Gestalt TestQ (Bender visual motor gastalt test): This test is used mostly as a screening tool for organic brain disordersQ.